Pneumoperitoneum is created by:
1. O2
2. CO
3. CO2
4. N2 O

Correct answer: 3. CO2

Explanation: Ans. C: CO2 Gases used for pneumoperitoneum include carbon dioxide (CO2), air, oxygen, nitrous oxide (N20), argon, helium and mixtures of these gases. CO2 gas insufflation is preferred by most laparoscopists because it has a high diffusion coefficient and is a normal metabolic end product rapidly cleared from the body. Also, CO2 is highly soluble in blood and tissues and does not support combustion. The risk of gas embolism is lowest with CO2. Cardiac arrhythmias can occur with CO2 pneumoperitoneum. Because of possible CO2 induced hypercarbia, N20 may be preferred in patients with cardiac disease. With prolonged procedures, CO2 retention is possible as evidenced by tachycardia and acidosis